Zinc phosphide is –
1. Rodenticide
2. Insecticide
3. Larvicide
4. All

Correct answer: 1. Rodenticide